Ascariasis causes -
1. Appendicitis
2. Intestinal obstruction
3. Bile duct obstruction
4. All of the above

Correct answer: 4. All of the above